Classic Triad of Pheochromocytoma includes episodes of all of the following Except:
1. Palpitation
2. Headache
3. Sweating
4. Hypertension

Correct answer: 4. Hypertension

Explanation: Answer is D (Hypertension): The classic triad of pheochromocytoma includes episodes of palpitations, headaches and profuse sweating Among the presenting symptoms, episodes of palpitations, headache and profuse sweating are typical and constitute the classic triad. The presence of all three symptoms of the classic triad in association with hypertension makes pheochromocytoma a likely diagnosis' - Harrison